Lithium is used in prophylaxis of -
1. Recurrent phobia
2. Alcohol dependence
3. Paranoid schizophrenia
4. Recurrent Manic depressive attacks

Correct answer: 4. Recurrent Manic depressive attacks